Gingival biopsy is useful in the diagnosis of -
1. Sarcoidosis
2. Amyloidosis
3. Histoplasmosis
4. Scurvy

Correct answer: 2. Amyloidosis

Explanation: Ans. is 'b' i.e., Amyloidosis